Drugs used for Prophylaxis of migraine include the following except?
1. Sumitriptan
2. Valproate
3. Serotonergic drugs
4. TCAs

Correct answer: 1. Sumitriptan